Asherman's syndrome can be diagnosed by all except
1. Hysterosalpingography
2. Saline sonography
3. Endometrial culture
4. Hysteroscopy

Correct answer: 3. Endometrial culture

Explanation: Endometrial culture IRef. Williams 22/e p 236 and Shaw's 13"/e p 470] Asherman's syndrome It is an acquired uterine defect. It is characterized by the presence of uterine synechiaes. Uterine synechiaes are bandlike structures between the walls of the uterus causing minimal to almost complete obliteration of the uterine cavity. Histologically these bands are made up of, fibrous tissue, myometrium and endometrium. The synechiaes usually results from destruction of large areas of endometrium by some surgical procedure (currettage). Uterine synechais are associated with early pregnancy loss. (The remaining endometriwn is insufficient to support the pregnancy, and abortion may ensue). Transvaginal and abdominal ultrasound are of limited use in the diagnosis and evaluation of intrauterine adhesions. On the contrary saline infusion sonography and three dimensional ultrasound provide some specific information on location and extent of adhesions. Diagnosis The diagnosis of Asherman's syndrome is usually made by hysterosalpingogram it shows characteristic multiple filling defect. Hysteroscopy is the most accurate procedure to diagnose Asherman's syndrome. Treatment of Asherman's syndrome Lysis of the band hysteroscopy. Placement of an intrauterine device to avoid contact between the ends of the adhesions. Treatment with estrogen to stimulate endometrial growth.